Laminated concretions of calcium and proteins are -
1. Schaumann's bodies
2. Ferrugenious bodies
3. Asteroid bodies
4. Gamm Gandy bodies

Correct answer: 1. Schaumann's bodies

Explanation: Ref:Textbook of pathology (Harsh mohan) 6th edition,page no.165 Schaumann's bodies or conchoid (conch like) bodies which are concentric laminations of calcium and of iron salts, complexed with proteins.The giant cells in sarcoid granulomas contain certain cytoplasmic inclusions Schaumann's bodies is one of them others are: Asteroid bodies which are eosinophilic and stellateshaped structures. Birefringent cytoplasmic crystals which are colourless. Similar types of inclusions are also observed in chronic berylliosis Ferrugenious bodies are asbestos fibres coated with glycoprotein and haemosiderin and appear beaded or dumbbell-shaped. The coating stains positively for Prussian blue reaction. Gandy-Gamna nodules or Gandy-Gamna bodies, sometimes known as Gamna-Gandy bodies or Gamna-Gandy nodules, are small yellow-brown, brown, or rust-colored foci found in the spleen in patients with splenomegaly due to portal hypertension, as well as sickle cell disease.